Shortest acting local anaesthetic agent is –
1. Procaine
2. Lidocaine
3. Tetracaine
4. Bupivacaine

Correct answer: 1. Procaine

Explanation: Chlorprocaine is the shortest acting LA. Amongst the given options procaine is shortest acting.